In a patient of head injury which is more important to note first:
1. Pupillary light reflex
2. Pupillary size
3. Corneal reflex
4. Ability to open eye

Correct answer: 4. Ability to open eye